Regarding isoflurane all are true except
1. Is a respiratory depressant
2. Causes tachycardia
3. Is metabolised to inorganic fluoride ions
4. Implicated in causing seizures

Correct answer: 4. Implicated in causing seizures

Explanation: Isoflurane is not epileptogenic.